Disorganized molecular surface layer of a highly polished metal produced by a series of abrasives of decreasing coarseness is called as:
1. Hybrid layer
2. Beilby layer
3. Hybroid layer
4. Smear layer

Correct answer: 2. Beilby layer

Explanation: During the process of polishing, fine scratches and irregularities are filled in by the fine particles being removed from the surface.
This microcrystaline layer is referred to as Polish layer or Beilby layer. This was proposed by Sir George Thomas Beilby.